Rabies free country is:
1. China
2. Russia
3. Australia
4. France

Correct answer: 3. Australia

Explanation: Australia